The loading dose of Aminophylline is
1. 50-75mg/kg
2. O. 5-1mg/kg
3. 2-3.5mg /kg
4. 5-6mg/kg

Correct answer: 4. 5-6mg/kg

Explanation: Refer KDT 6/e p 221 Aminophylline IA admistered I'm a dose of 5-7mg/kg slow intravenous infusion. In children, dose required is 7.5mg/kg